Eosinophilic abscess in lymph node is characteristically seen in -
1. Kimura's disease
2. Hodgkin's lymphoma
3. Tuberculosis
4. Sarcoidosis

Correct answer: 1. Kimura's disease

Explanation: Answer is option 1, kimura's disease This picture is suggestive of Kimura's disease which usually presents as painless, sometimes disfiguring, subcutaneous nodules in the head and neck region, with eosinophilia and adenopathy. Although, it may mimic a neoplastic process, it is a chronic inflammatory disease of unknown cause. The disease progresses slowly and is endemic to Asians. Kimura's disease was first described in China in 1937, but it was not referred to as "Kimura's disease" until its description in the Japanese language literature in 1948.